Tonsillectomy and IM injections should be avoided during polio epidemic because -
1. It is painful
2. It may lead to high grade fever
3. Risk of paralytic poliomyelitis increases
4. Risk of septicaemia

Correct answer: 3. Risk of paralytic poliomyelitis increases

Explanation: Several provocative or risk factors have been found to precipitate an attack of paralytic polio in individuals already infected with polio viruses. They include fatigue, trauma, IM infection,operative procedures such as tonsillectomy undertaken especially during epidemics of polio. Reference:Park's textbook of preventive and social medicine,K.Park,23rd edition,page no:205.